Local cerebral lesion with a ring on CT scan is caused by –
1. Toxoplasmosis
2. Intracranial haemorrhage
3. Cysts
4. Hamartoma

Correct answer: 1. Toxoplasmosis

Explanation: Toxoplasmosis can cause ring-enhancing brain lesions.